Ligamentum arteriosum is a remnant of
1. Ductur arteriosur
2. Ductur caroticus
3. Ductur venosus
4. None

Correct answer: 1. Ductur arteriosur